"Subperiosteal" Resorption and Thickness of skull is increased in:
1. Rickets
2. Osteomalacia
3. Hyperparathyroidism
4. Thalassemia

Correct answer: 3. Hyperparathyroidism

Explanation: Hyperparathyroidism